The ovarian tumor which is most likely to be associated with virilization
1. Granulosa tumor
2. Sertoli-Leydig cell tumor
3. Immature teratoma
4. Gonadoblastoma

Correct answer: 2. Sertoli-Leydig cell tumor

Explanation: Sertoli-Leydig cell tumor / Arrhenoblastomas Occur commonly in the third and fourth decades of life. Rare tumors They secrete androgens and cause defeminization followed by masculinization. Virilization: Permanent changes Hoarsness Breast atrophy Clitoromegaly Oligomenorrhea to amenorrhea Benign Rapid onst hirsutism Ovarian tumours which produce male sex hormones are called virilizing tumours.